In Diabetes, What happens to RQ:
1. RQ always increases in Diabetes
2. RQ increases & on giving Insulin it again decreases
3. RQ always decreases in Diabetes
4. RQ decreases & on giving Insulin it again increases

Correct answer: 4. RQ decreases & on giving Insulin it again increases

Explanation: Respiratory Quotient (RQ) Calculation of RQ of Glucose (carbohydrates): Oxidation of glucose in body: C6H1206 + 602 - 6C02 + 6H20 So, RQ = 6/6 = 1 RQ VALUES for different food components: Carbohydrates - 1 Proteins - 0.8 Fats - 0.74 Mixed diet - 0.85 Brain - 0.97 - 0.99 RQ TELLS US Type of macromolecules used in the body Conversion of one macromolecule to another FASTING / STARVATION - RQ decreases RQ in Diabetics - RQ decreases On giving insulin - RQ Increases